True about anatomy of adult cornea –a) Horizontal diameter is 12 mmb) Horizontal diameter is 10 mmc) In megalocornea diameter is > 12mmd) In microcornea diameter < 10mme) Vertical diameter > Horizontal diameter
1. b
2. ad
3. ac
4. ab

Correct answer: 2. ad

Explanation: Anterior and posterior surfaces have same horizontal (transverse) diameter 11.7 (;12) mm, while the vertical diameter of anterior surface (10.6 mm) is about 1 mm less than the posterior surface (11.7 mm).
In micro cornea diameter is <10 mm and in mega cornea diameter is >13 mm